Most potent antigen presenting cell is?
1. B cells
2. Dendritic cells
3. T cells
4. NK cells

Correct answer: 2. Dendritic cells

Explanation: Ans. is 'b' i.e., Dendritic cells * Important antigen presenting cells are macrophages, B-cells, dendritic cells and Langherhans cell, Dendritic cells are the most potent and effective antigen presenting cells.* Dendritic cells are the most potent and effective antigen presenting cells.